Muscle which forms pelvic diaphragm
1. Deep transvere perineal muscle
2. Spincter urethrae
3. Levator ani
4. Superficial transverse perineal muscle

Correct answer: 3. Levator ani

Explanation: The pelvic diaphragm is a muscular partition formed by the levator ani and coccygei, with which may be included the parietal pelvic fascia on their upper and lower aspects. The pelvic floor separates the pelvic cavity above from the perineal region (including perineum) . ref - BDC 6e vol2 pg367-369